You are clearing the doubts of one of your patients with Marjolin's ulcer. Though Marjolin's ulcer is a squamous cell carcinoma it doesn't readily spread through the lymph nodes. Which is the TRUE attributed reason?
1. The cells are of a lower malignant potential
2. It is more rapidly diagnosed compared to a typical squamous cell Ca
3. The scar tissue it occurs in has no lymphatics
4. None of the above

Correct answer: 3. The scar tissue it occurs in has no lymphatics

Explanation: Marjolin's ulcer is a less malignant Ca since it grows very slowly due to the scar tissue and the spread is prevented due to the absence of lymphatics. This condition is also painless since scar contains no nerves. Surgery often cures the disease. Note: If Marjolin's ulcer spreads beyond the scar tissue it behaves as a regular squamous carcinoma. Ref: Manipal Millennium Edition, Page 67